Which of the following component of hydrocolloid can lead to fixed drug eruptions?
1. CaSO4
2. Phenolphthalein
3. Na fluorititanate
4. Magnesium oxide

Correct answer: 2. Phenolphthalein